All of the following cause high anion gap metabolic acidosis EXCEPT:
1. Lactic acidosis
2. Salicylates poisoning
3. Ethylene glycol poisoning
4. Ureterosigmoidostomy

Correct answer: 4. Ureterosigmoidostomy

Explanation: Ans. D i.e. Ureterosigmoidostomy Anion gap Increased anion gap is seen in: - Starvation, - Salicylate poisoning, - Renal failure etc.